A patient presenting with H/0 diarrhea for several years with recent onset pruritus & ↑  Alkaline Phosphatase, normal SGOT/PT& USG shows no gall stones & biliary tract abnormality, the diagnosis is -
1. Hodgkins Lymphoma
2. Sclerosing cholangitis
3. Chronic Hepatitis
4. Autoimmune Hepatitis

Correct answer: 2. Sclerosing cholangitis